Expectation of life, free of disability is known as:
1. Park's index
2. Smith's index
3. Sullivan's index
4. Life index

Correct answer: 3. Sullivan's index

Explanation: Ans. (c) Sullivan's index* Sullivan's Index = Life Expectancy MINUS Duration of disability (bed disability and inability to perform major activities)- It is one of the most advanced indicators currently available